Which of the following is not a sign of active rickets?
1. Prominent fontanelle
2. Hot cross bun sign
3. Saddle nose
4. Caries teeth

Correct answer: 3. Saddle nose

Explanation: Symptoms of rickets include: pain or tenderness in the bones of the arms, legs, pelvis, or spine. stunted growth and short stature. bone fractures. muscle cramps. teeth deformities, such as: delayed tooth formation. holes in the enamel. skeletal deformities, including: an oddly shaped skull. bowlegs, or legs that bow out. Reference: GHAI Essential pediatrics, 8th edition